Which of the following is the most likely indication for the use of pirenzepine?
1. Peptic Ulcer Disease
2. Bronchial Asthma
3. Motion Sickness
4. Dysmenorrhea

Correct answer: 1. Peptic Ulcer Disease

Explanation: Pirenzepine is a selective anticholinergic used for the treatment of peptic ulcer disease. Pirenzepine has a specific action on the muscarinic MI receptor where it inhibits gastric acid secretion. Pirenzepine (telenzepine is a more potent Analog) It is relatively selective MI muscarinic receptor antagonist (Selectivity for MI over M2 and M3 receptors) In contrast to most muscarinic receptor antagonists. Pirenzapine, shows some selectivity for M1 receptors. It inhibits gastric acid secretion with minimal or no atropinic side effects (little effect on salivation or heart rate) Basal secretion is blocked more effectively than that stimulated by food, nicotine, or alcohol It can reduce basal acid production by 40-50%v Pirenzapine is used in the treatment of acid peptic disease in Europe , japan and canada. Ref: Goodman and Gilman 13th edition Pgno: 157, 1316-1317